The lung tumour responding best to radiotherapy?
1. Small cell anaplastic
2. Squamous cell CA
3. Adeno CA
4. All respond equally well

Correct answer: 1. Small cell anaplastic

Explanation: Ans. is 'a' i.e., Small cell anaplastic